Elastic cartilage is found in :
1. Auditory tube
2. Nasal septum
3. Articular cartilage
4. Costal cartilage

Correct answer: 1. Auditory tube

Explanation: A i.e. Auditory tube